All may be associated with Sicca syndrome except
1. Scleroderma
2. Rheumatoid arthritis
3. Midline granuloma
4. lymphadenopathy

Correct answer: 3. Midline granuloma

Explanation: Ref - Davidsons 23e p1039